Clinical features of anicteric Leptospirosis are all EXCEPT:
1. Influenza like illness like fever, hepatosplenomegaly, nausea, headache etc.
2. Muscle pain
3. High mortality
4. Conjuctival suffusion is MC finding on physical examination

Correct answer: 3. High mortality

Explanation: Ans. C i.e. High mortality Leptospira Leptospirosis is transmitted by: Rat urine Leptospirosis is associated with: Rat, Ricefields, Rain Weils disease is caused by: L. icterio-hemorrhagica